A patient presented within chest pain to the emergency room and dies within 12 hours of arrival. After 5 days, autopsy shows necrosis in Myocardium. What is the type of necrosis?
1. Fibrinoid
2. Coagulative
3. Caseous
4. Liquefactive

Correct answer: 2. Coagulative

Explanation: Organs with end arterial blood supply will show usually the Coagulative type of necrosis; solid organs like a heart will always show Coagulative necrosis. Caseous necrosis is usually seen in tuberculosis. and shows associated granulomatous inflammation. Liquefactive necrosis is usually seen in brain parenchyma. Fibrinoid necrosis is a special form of necrosis seen in the immune complex-mediated destruction of blood vessels like in various types of vasculitis.